Bartholin's gland is located at
1. Vestibule
2. Labia majora
3. Superficial perineal pouch
4. Deep perineal pouch

Correct answer: 3. Superficial perineal pouch

Explanation: Bartholin's glands or greater vestibular glands are paired structures that are located in the superficial perineal pouch. The glands are drains by a duct that opens into the vestibule at the junction of anterior 2/3rds and posterior 1/3rd in the groove between labia minora and hymen. The lining epithelium is columnar which becomes stratified squamous at the tip due to recurrent infections. The treatment of Bartholin's abscess is incision and drainage while treatment for recurrent Bartholin's cyst is marsupialization.